Fully humanized antibodies used in the treatment of RA?
1. Anakinra
2. Adolimumab
3. Infliximab
4. Leflunamide

Correct answer: 2. Adolimumab

Explanation: Ans is 'b' i.e., Adolimumab Etanercept: TNF type II receptor fused to IgG 1 o Infliximab: Chimeric human-mouse monoclonal antibody to TNF o Adolimumab: Fully human anti-TNF antibody